Which of the following is the LEAST likely physiological change in pregnancy?
1. Increase in intravascular volume
2. Increase in cardiac output
3. Increase in stroke volume
4. Increase in peripheral vascular resistance

Correct answer: 4. Increase in peripheral vascular resistance

Explanation: Blood volume expansion begins early in the first trimester, increases rapidly in the second trimester, and plateaus at about the 30th week. Cardiac output increases approximately 40% during pregnancy, with maximum values achieved at 20-24 weeks' gestation. Stroke volume increases 25-30% during pregnancy, reaching peak values at 12-24 weeks' gestation. Vascular resistance decreases in the first trimester, reaching a nadir of approximately 34% below nonpregnancy levels by 14 to 0 weeks of gestation with a slight increase toward term. Ref: Flick A.A., Kahn D.A. (2013). Chapter 8. Maternal Physiology during Pregnancy & Fetal & Early Neonatal Physiology. In DeCherney A.H., Nathan L, Laufer N, Roman A.S. (Eds), CURRENT Diagnosis & Treatment: Obstetrics & Gynecology, 11e.